Nephrocalcinosis in a systemic granuomatous disease is due to
1. Over production of 1,25 dihydroxy vitamine D
2. Dystrophic calcification
3. Mutation in calcium sensing receptors
4. Increased reabsorption of calcium

Correct answer: 1. Over production of 1,25 dihydroxy vitamine D

Explanation: Ref Robbins 8/e p 433-436 Nephrocalcinosis, once known as Albright's calcinosis after Fuller Albright, is a term originally used to describe deposition of calcium salts in the renal parenchyma due to hyperparathyroidism. The term nephrocalcinosis is used to describe the deposition of both calcium oxalate and calcium phosphate. It may cause acute kidney injury